Cadaveric spasm
1. Instant in onset
2. Confined to a small group of muscle
3. Occurs only in voluntary muscles
4. All of the above

Correct answer: 4. All of the above

Explanation: (D) All of the above # Cadaveric Spasm or Instantaneous Rigor: Cadaveric spasm (cataleptic rigidity) is a rare condition.> In this, the muscles that were contracted during life become stiff and rigid immediately after death without passing into the stage of primary relaxation.> Usually limited to a limited group of voluntary muscles & tha to frequently involves hands.> Whole body can be involved in soldiers (involved in a war).